Arterial supply to epistaxis area are all except
1. Greater palatine
2. Anterior ethmoidal
3. Posterior ethmoidal
4. Sphenopalatine

Correct answer: 3. Posterior ethmoidal

Explanation: Epistaxis area is Little's areaFour arteries contribute to little's area:Anterior ethmoidal arterySeptal branch of the superior labial artery (Branch of facial Artery)Septal branch of sphenopalatine artery (Branch of maxillary Artery)Greater palatine artery (Branch of maxillary Artery)Ref: PL Dhingra, Diseases of Ear, Nose & Throat, 7th edition, pg no.165